Fascial planes in the neck are of considerable surgical importance. Features of the neck fascia include all except
1. Superficial fascia contains platysma, external and anterior jugular veins
2. Pretracheal fascia extends as far as the fibrous pericardium
3. Investing layer of deep cervical fascia lies deep to the parotid gland
4. Prevertebral fascia extends from base of skull to the axilla

Correct answer: 3. Investing layer of deep cervical fascia lies deep to the parotid gland

Explanation: Investing layer of deep cervical fascia splits to encase the parotid gland. Any acute enlargement of parotid gland (mumps) thus causes pain.